Koplik spots are seen in:
1. Diphtheria
2. TB
3. Measles
4. Syphilis

Correct answer: 3. Measles

Explanation: Ans. C: Measles Koplik spots considered as pathognomic of measles appear on the 2nd or 3rd day of illness as gray/ white grains of sand like lesions with surrounding erythema opposite the lower second molars on the buccal mucosa Measles: Also known as rubeola Caused by measles virus (RNA paramyxovirus) Kopliks spot IP: 10-14 days Rash appears on 4th day SSPE, encephalitis and febrile convusions are not common but rare complications of measles Measles vaccine when given to contact of measles cases, exerts protective influence within 7 days Measles vaccine is highly effective Contamination of measles vaccine can cause toxic shock syndrome (TSS)